Which of the following is/are true about medial longitudinal fasciculus (MLF) and its lesion except -
1. Unilateral lesion result in adduction palsy of opposite eye
2. MLF connects sixth cranial nerve nucleus of one side with the third cranial nerve nucleus of the other side
3. MLF is responsible for conjugate eye movements
4. It is an integral component of saccadic eye movements

Correct answer: 1. Unilateral lesion result in adduction palsy of opposite eye

Explanation: Answer- A. Unilateral lesion result in adduction palsy of opposite eyeVoluntary horizontal gaze in one direction begins with the contralateral frontal eye fieldsContralateral paramedian pontine reticular formation (PPRF), which is the organizing center for lateral gaze in the brain stemMedial rectus muscle weakness impsilateral to the side of the lesion with paresis of adduction or adduction lag.